The most sensitive index for renal tubular function is :
1. Specific gravity of urine
2. Blood urea
3. GFR
4. Creatinine clearance

Correct answer: 1. Specific gravity of urine

Explanation: Ans. is 'a' specific gravity of urineThe main function of renal tubules is concentration of urine and this can be measured by the specific gravity of urine.